Derivative of second pharyngeal arch is
1. Spheno Mandibular Ligament
2. Stylomandibular Ligament
3. Anterior Ligament of Malleus
4. Stylohyoid Ligament

Correct answer: 4. Stylohyoid Ligament